What is not a feature of Sturge-Weber syndrome?
1. Rail track appearance
2. Hemiatrophy of the brain
3. Convulsion
4. Empty sella

Correct answer: 4. Empty sella

Explanation: Ans. (d) Empty sellaRef: Bailey 261 e p 599Sturge weber syndrome:* Sporadic usually* Large cutaneous angioma unilaterally (Port wine stain)* Brain angiomas* Focal seizures typically opposite to side of lesion* Adrenal Pheochromocytoma* Cortical atrophy.* Angiomas can be seen "Rail road" or "Tram track" calcification in Occipital region.